Overtreatment with D-penicillamine results in:
1. Copper toxicity in the retina
2. Sideroblastic anemia
3. Hypercoagulable state
4. Dyslipidemia

Correct answer: 2. Sideroblastic anemia

Explanation: Hepatic siderosis is seen in patients with reduced levels of serum ceruloplasmin and non-ceruloplasmin bound copper. Overtreatment with penicillamine lead to reversible sideroblastic anemia and hemosiderosis. Ref: Journal of Hepatology 2012 vol. 56 / 671-685.